Following statements are true for Fournier's gangrene except:
1. It is a vascular disaster of infective origin
2. Sudden appearance of scrotal inflammation
3. Rapid onset of gangrene
4. Testes are never exposed

Correct answer: 4. Testes are never exposed

Explanation: Necrotising facilities (Syn Meleney's streptococcal gangrene, Fournier's gangrene). Necrotising facilities is a destructive invasive infection of skin, subcutaneous tissue and deep fascia, with relative sparing of muscle.Common sites are the genitalia, groins and lower abdomen.